Which of the following statements about Grave’s disease is false?
1. Results in hyperthyroidism
2. Autoimmune disorder
3. Common in Male
4. Referred as Toxic diffuse goiter

Correct answer: 3. Common in Male

Explanation: Ref. Sabiston Textbook of Surgery. Pg. 2819
 
Graves disease is an autoimmune disease caused by the presence of thyroid stimulating immunoglobulin in the plasma resulting in hyperthyroidism .

The female : male ratio ranges from 5:1 to 10:1.
Diffuse toxic goiter is the major manifestation of Graves disease.

Pathogenesis